Which of the following is a component of the visual pigment rhodopsin
1. β-carotene
2. Retinal
3. Retinol
4. Retinoic acid

Correct answer: 2. Retinal

Explanation: In the retina, retinal (retinaldehyde) functions as the prosthetic group of light-sensitive opsin proteins, forming rhodopsin (in rods) and iodopsin (in cones).